Mestranol acts as contraceptic by
1. Inhibiting FSH secretion
2. Inhibiting tubal motility
3. Inhibiting ascent of sperm
4. Inhibiting Implantation

Correct answer: 1. Inhibiting FSH secretion